HSV-2 predominantly affects which part of body -
1. Face
2. Chest
3. Genital area
4. Back

Correct answer: 3. Genital area

Explanation: Ans. is 'c' i.e., Genital area * There are two types of HSV : HSV-1 and HSV-2. HSV-1 usually produces lesions above the waist and HSV-2 usually produces lesion below the waist.Herpes simplex virus (hsv)HSV Type 1HSV Type 2* Cause lesion in and around mouthCause lesion around genital area* Transmitted by direct contact or droplet spreadUsually transmitted sexually* Replicate poorly in chick embryo fibroblast cellReplicate well* Relatively sensitive to antiviral agentsResistant* Less neurovirulentMore neurovirulent* Infectivity is less temperature sensitiveMore temperature sensitive* Site of latency-trigeminal gangliaSacral ganglia* On chick embryo CAM, form smaller pockForm larger pock